65 year old man came to eye OPD with chief complaints of metamorphosia. On examination he has yellow deposits subretinal near macula in both eyes. Rest of the fundus is normal What should be the probable diagnosis
1. Hypertensive retinopathy
2. Age related macular degeneration
3. Eales disease
4. Diabetic retinopathy

Correct answer: 2. Age related macular degeneration

Explanation: Metamorphosia , age of the patient and the yellowish exudates beneath the retina pointing towards age related macular degeneration Age related macular degenerations ARMD Defines ARMD as a degenerative disease of persons above the age of 50 years that is characterized by the following abnormalities in the macula : oSoft drusen oHyperpigmentation and/or hypopigmentation of the RPE oPeri retinal haemorrhages or Geographic atrophy of RPE or retinal fibrous scarring in the absence of other retinal vascular disorders Types Dry ARMD Wet ARMD